A 60 year old man with CA prostate with osteoblastic secondaries in pelvis and lumbar
vertebra showed well differentiated Adenocarcinoma prostate on needle biopsy. First line of
treatment is
1. Proscavax vaccine
2. TURP
3. Radical prostatectomy
4. Harmonal ablation

Correct answer: 4. Harmonal ablation

Explanation: Metastatic disease is treated by harmonal ablation.